Fasanella Servat operation is specifically indicated in:
1. Congenital ptosis
2. Steroid induced ptosis
3. Myasthenia gravis
4. Homer's syndrome

Correct answer: 4. Homer's syndrome

Explanation: Ans. Homer's syndrome